Dysphagia lusoria is most commonly caused by-
1. Aberrant Hemiazygous vein
2. Aberrant right subclavian artery
3. Enlarged mediastinal nodes
4. Thymoma in mediastinum

Correct answer: 2. Aberrant right subclavian artery

Explanation: Ans. is 'b' i.e., Aberrant right subclavian artery o Has been explained in previous sessions.